Peu d'orange is due to
1. Skin metastasis
2. Lymphatic obstruction
3. Thrombophlebitis
4. All of the above

Correct answer: 2. Lymphatic obstruction

Explanation: It is due to lymphatic obstruction and edema.